Esthetic changes occurs after/during RCT:
1. Decrease translucency.
2. Increase color chroma.
3. Increase saturation of color.
4. All of the above.

Correct answer: 4. All of the above.